Not seen in osteogenesis imperfecta:
1. Wormian bones
2. Thick cortex
3. Coxa vara
4. Saber shin

Correct answer: 2. Thick cortex

Explanation: Osteogenesis imperfecta is a type- 1 collagen defect which affects the tensile strength of the bone.it most commonly occurs in femur. It leads to weakening of bones. Thin cortex is the hallmark for osteogenesis imperfecta. Deformities occurring in osteogenesis imperfecta includes saber shin (bowing), Coxa vara (decreased neck- shaft angle of femur) and Wormian bones (short, dot-like). Wormian bones are also found in down syndrome, osteogenesis imperfecta, trisomy and skeletal dysplasia